What is the cause for heamorrhagic pericardial effusion except ?
1. Transmural myocardial infarction
2. Aortic aneurysm dissection
3. Metastasis to pericardium
4. Constrictive pericarditis

Correct answer: 4. Constrictive pericarditis

Explanation: Hemorrhagic pericarditis involves blood mixed with a fibrinous or suppurative effusion, and it is most commonly caused by tuberculosis or direct neoplastic invasion. This condition can also occur in severe bacterial infections or in patients with a bleeding diathesis Causes: Pericarditis Long term usage of cabergoline ingredient (dopamine agonists) Viral infection (coxsackie virus) Infection including tuberculosis Drug eluting stents Inflammatory disorders, such as lupus, rheumatoid arthritis and post myocardial infarction pericarditis (Dressler's syndrome) Cancer that has spread to the pericardium Trichinosis Kidney failure with excessive blood levels of urea nitrogen Minoxidil Hypothyroidism Heart surgery Ref Davidson 23rd edition pg 477